FG, FFG, FFFG ... used to describe:
1. Primer
2. Cartridge
3. Black gunpowder
4. Base of firearms

Correct answer: 3. Black gunpowder

Explanation: C i.e. Black gunpowder